Centromere is almost at the tip of the chromosome in:
1. Metacentric
2. Submetacentric
3. Acrocentric
4. Telocentric

Correct answer: 3. Acrocentric

Explanation: Types Of CHROMOSOMES: